Common substrate for purine and pyrimidine synthesis are all except ?
1. Glutamine
2. Glycine
3. Aspartate
4. Carbon dioxide

Correct answer: 2. Glycine

Explanation: Ans. is b i.e., Glycine Glutamine, aspartate (aspartic acid) and CO, are preursors for both purines & pyrimidines.In de novo synthesis, purine ring is formed from variety of precursors is assembled on ribose-5-phosphate.